Which of the following is false regarding malignant otitis externa?
1. ESR is useful in the monitoring of response to antibiotics
2. Sensorineural hearing loss is common presentation
3. Common in diabetics
4. Granulation tissue in external ear canal

Correct answer: 2. Sensorineural hearing loss is common presentation

Explanation: (b) Sensorineural hearing loss is common presentation(Ref. Cummings, 6th ed., 2118)Invasion of inner ear to result into SN hearing loss is unusual and if it all occurs, will be a very late feature.